Calcification of soft tissues without any distrubance of calcium metabolism is called -
1. Ionotrophic calcification
2. Monotrophic calcification
3. Dystrophic calcification
4. Calcium induced calcification

Correct answer: 3. Dystrophic calcification

Explanation: Ans. is 'c' i.e., Dystrophic calcification